Traumatic anterior dislocation of shoulder with sensory loss in lateral side of forearm and weakness of flexion of elbow joint, most likely injured nerve is
1. radial nerve
2. ulnar nerve
3. axillary nerve
4. musculocutaneous nerve

Correct answer: 4. musculocutaneous nerve

Explanation: Ans. is 'd' i.e.Musculocutaneous nerve Flexion at the elbow is brought about by- BrachialisBiceps brachi BrachioradialisTheir nerve supply :Brachialis -- Musculocutaneous nerveBiceps brachi - Musculocutaneous nerveBrachioradialis - Radial nerveSo the nerve injured is either musculocutaneous nerve or radial nerve.The cutaneous nerve supply of :Musculocutaneous nerve - * lateral cutaneous nerve of forearm - skin of the lateral side of the forearmRadial nerve - * Post. Cutaneous nerve of arm - Supplies skin on backlower lateral cutaneous nerve of armpost cutaneous nerve of forearm.- posterior aspect of fore armThus sensory loss in lateral side of forearm and weakness of flexion of elbow joint is due to injury to musculocutaneous nerve.